Which of the following is not seen in pseudogout -
1. Small joints affected
2. Large joints affected
3. Chondrocalcinosis
4. Deposition of calcium pyrophosphate

Correct answer: 1. Small joints affected

Explanation: It is one of the forms of "calcium pyrophosphate dihydrate" (CPPD) arthropathy.
Pseudogout commonly involves the larger joints.Knee joint is most commonly involved; other sites are wrist, elbow, shoulder, ankle. Involvement of small joints is uncommon.
The radiologic hallmark of CPPD is "chondrocalcinosis". Chondrocalcinosis is seen as punctate and/or linear radiodense deposits in fibrocartilaginous joint menisci or articular hyaline cartilage.